The magnification obtained by direct ophthalmoscope is
1. 5times
2. 10times
3. 15times
4. 20times

Correct answer: 3. 15times

Explanation: TECHNIQUE MAGNIFICATION FIELD OF VIEW CHARACTERISTICS Direct ophthalmoscopy 15X 5* Erect and virtual Indirect ophthalmoscopy with +20D 3X 45* Inverted reversed and real Indirect ophthalmoscopy with +30D 2X 50* Inverted reversed and real Biomicroscopic examination with +78D 10X 30* Inverted reversed and real Biomicroscopic examination with +90D 7.5X 40* Inverted reversed and real Fundus camera 2.5X 30* Erect, virtual, photo documentation Ref. : Khurana's Theory and Practice of Optics and Refraction; 2nd Ed; Pg. 386